Orthotolidine test is used to determine ?
1. Nitrates in water
2. Nitrites chlorine in water
3. Free and combined chlorine in water
4. Ammonia content in water

Correct answer: 3. Free and combined chlorine in water

Explanation: Ans. is 'c' i.e., Free and combined chlorine in water Orthotolidine test (OT test) It is used to determine both free and combined chlorine in water with speed and accuracy. In this test. the reagent (0 tolidine, dissolved in 10% solution of HCL) is dissolved in tml of water containing o chlorine. The water turns yellow and the intensity of the colour varies with the concentration of the gas. The yellow colour is produced by both free and combined chlorine residuals. o Orthotolidine instantaneously reacts with free chlorine. %n h i le it react more slowly with combined chlorine. o Time taken to produce colour Free chlorine within seconds (10s) Combined chlorine 15-20 minutes